Marginal leakage related to temperature change occurs to the greatest extent with:
1. Amalgam alloy
2. Unfilled resin
3. Composite resin
4. Direct filling gold

Correct answer: 2. Unfilled resin